Longest acting mydriatic among the following is:
1. Atropine.
2. Homatropine.
3. Cyclopentolate.
4. Tropicamide.

Correct answer: 1. Atropine.

Explanation: Atropine has a very long duration of action in the eye while shorter action in other organs.